True about tumor lysis syndrome are A/E:
1. Hyperuricemia
2. Hypercalcemia
3. Hyperkalemia
4. Hyperphosphatemia

Correct answer: 2. Hypercalcemia

Explanation: Answer is B (Hypercalcemia): Tumor Lysis syndrome is characterized with hypocalcemia and not hypercakemia.